Features of right side carcinoma colon are
I. Obstruction
II. Altered bowel habit
III. Anemia
IV. Melena
1. 1 only
2. 1 and 2
3. 3 and 4
4. 2, 3 and 4

Correct answer: 3. 3 and 4

Explanation: Right sided Ca. Bleeds ( melena) causing anemia.